True about subarachnoid block (spinal anesthesia):
1. Cannot be used in infant & children
2. Can be given by unskilled doctor
3. May be used when I. V access is not possible for intravenous drugs
4. Hypotension is most common side-effect

Correct answer: 4. Hypotension is most common side-effect

Explanation: Ans. D. Hypotension is most common side-effectSubarachnoid block:Most commonly used anaesthetic techniqueAdult level is usually L3-4Indications:Orthopaedics surgery general surgery (pelvic & perineal), gynecological & obstetrical surgery' urological surgeries etc.,Most commonly drugs used in India are- xylocaine (lignocaine) & Sensoricaine (bupivacaine)Hypotension is most common side-effect:Managed by preloading & intraoperative fluids vasopressors. For this good i.V access is very imPortant.